Ability to form a concept and generalize is known as
1. Concrete thinking
2. Abstract thinking
3. Intelligent thinking
4. Delusional thinking

Correct answer: 2. Abstract thinking

Explanation: Thinking characterised by the ability to grasp the essentials of a whole, to break a whole into its parts, and to discern common properties. To think symbolically. Ref: Synopsis of Psychiatry, 11e, pg 1407.